Metabolic syndrome criteria includes all except
1. Triglycerides > 150mg / dL
2. Fasting blood glucose = 120 → 140mg / dL
3. HDL cholesterol < 50mg /dL
4. Waist circumference > 88cm

Correct answer: 2. Fasting blood glucose = 120 → 140mg / dL

Explanation: Fasting blood glucose : 110 → 126 mg / dL is the one among the criteria for metabolic syndrome.